In diagnosing the carious lesions, the tooth surface is examined visually. Which of the following is not considered as visual examination?
1. Cavitations
2. Brownish black discoloration of pits and fissures
3. Opacification
4. Softness of the tooth surface

Correct answer: 4. Softness of the tooth surface

Explanation: The caries can be detected by 

Visual methods (Cavitation, Chalky appearance of teeth)
Tectile methods (Checking carefully by using an explorer)